Zero order kinetics is shown by which drug -
1. Digoxin
2. Theophylline
3. Phenobarbitane
4. Etomidate

Correct answer: 2. Theophylline

Explanation: Ans. is 'b' i.e., Theophylline 1 o Drugs showing zero/pseudo-zero order kinetics :# Phenytoin# Tolbutamide# Theophylline# Warfarin# Alcohol# Salicylates (Aspirin)